Minimal level of iodine at consumer level should be ________ppm -
1. 5
2. 10
3. 15
4. 30

Correct answer: 3. 15

Explanation: Level of iodine should be not less than 30ppm at the production point and is not less than 15ppm at consumer level.REF.PARK'S TEXTBOOK OF PREVENTIVE AND SOCIAL MEDICINE.Editon-21.Page no.-595